Most common malignant bone tumor -
1. Osteogenic sarcoma
2. Secondaries
3. Osteoma
4. Enchondroma

Correct answer: 2. Secondaries

Explanation: Ans. is 'b' i.e., Secondarieso Secondaries are most common malignant bone tumor,o Osteogenic sarcoma is the most common primary malignant bone tumor,o Osteoma is most common benign bone tumor.